Austin flint murmur is a:
1. Pansystolic murmur
2. Midsystolic murmur
3. Middiatolic murmur
4. Continuous murmur

Correct answer: 3. Middiatolic murmur

Explanation: Ans. C: Middiatolic murmur Pansystolic murmur is a regurgitant murmur heard throughout systole. It accompanies MR, TR or VSD